Trantas spots are seen in
1. Vernal conjunctivitis
2. Eczematous conjunctivitis
3. Ophthalmia nodosa
4. Tularaemia

Correct answer: 1. Vernal conjunctivitis

Explanation: VERNAL KERATOCONJUNCTIVITIS (VKC) OR SPRING CATARRHIt is a recurrent, bilateral, interstitial, self-limiting, allergic inflammation of the conjunctiva having a periodic seasonal incidence.Signs of vernal keratoconjunctivitis can be described in following three clinical forms:1. Palpebral form: Usually upper tarsal conjunctiva of both eyes is involved. The typical lesion is characterized by the presence of hard, flat-topped, papillae arranged in a 'cobble-stone' or 'pavement stone', fashion. In severe cases, papillae may hypertrophy to produce cauliflower like excrescences of 'giant papillae'. Conjunctival changes are associated with white ropy discharge.2. Bulbar form: It is characterized by (i) dusky red triangular congestion of bulbar conjunctiva in the palpebral area; (ii) gelatinous thickened accumulation of tissue around the limbus; and (iii) presence of discrete whitish raised dots along the limbus (Tranta's spots).3. Mixed form. It shows combined features of both palpebral and bulbar forms.Ref. Khurana; 4th edition; Pg no. 74